Frame shift mutation is caused by:
1. Deletion
2. Point mutation
3. Substitution
4. Transversion

Correct answer: 1. Deletion

Explanation: Frameshift Mutation:

Due to insertion or deletion of nucleotides that are not a multiple of three results in frameshift mutation.
Reading frame is garbled.

Reference- Harper 30th edition page 417